After laproscopic appendicectomy, patient had fallen from bed on her nose after which she had swelling in nose and difficulty in breathing. Next step in management:
1. IN antibiotics for 7-10 days
2. Observation in hospital
3. Surgical drainage
4. Discharge after 2 days and follow up of the patient after 8 weeks

Correct answer: 3. Surgical drainage

Explanation: She has possibly developed septal hematoma. A septal hematoma has to be drained as early as possible (Generally within 72 hrs) or else it can lead to necrosis of septal cartilage and loss of support of dorsum leading to sadding of nose. It can also get infected and lead to formation of septal abscess.